Umbilical cord has -
1. 1 vein and 2 arteries
2. 2 vein and 2 arteries
3. 1 vein and 1 artery
4. 2 veins and 1 artery

Correct answer: 1. 1 vein and 2 arteries

Explanation: Ans. is 'a' i.e., 1 Vein and 2 arteries